All of the following drugs can be used for diabetes insipidus, except :
1. Amiloride
2. Furosemide
3. Chlorpropamide
4. Carbamazepine

Correct answer: 2. Furosemide